False perception without any external stimulus is:
1. Illusion
2. Hallucination
3. Delirium
4. Delusion

Correct answer: 2. Hallucination

Explanation: Ans. (B). HallucinationDisorder of thought- Delusion.Disorder of orientation, thought content - DeliriumFalse perception without stimulus - HallucinationFalse interpretation of existing stimulus - Illusion